M/C uterine malformation associated with infertility:
1. Bicornuate
2. Unicornuate
3. Septate
4. Didelphys

Correct answer: 3. Septate

Explanation: Ans. is c, i.e. SeptateRef: Jeffoates 8th/ed, p188"The only form of malfusion deformity which may lower fertility significantly is a fully septate vagina." - Ref: Jeffoates, 8th/ed, p188"Septate anomaly is the anomaly most highly associated with reproductive failure and obstertcial complications including first and second trimester miscarriage, preterm delivery, fetal malpresentation, IUGR and infertility. - Ref: Leon Spercoff 8th/ed, p1172